What is true about acute rheumatic fever?
1. Mitral valve is invariably associated
2. Earliest symptom is migratory arthritis
3. Sydenham's chorea is always present.
4. It follows streptococcal skin infection

Correct answer: 2. Earliest symptom is migratory arthritis